All of the following laryngeal muscles are adductors of vocal cord except:
1. Lateral cricoarytenoid
2. Posterior cricoarytenoid
3. Thyroarytenoid
4. Oblique arytenoid

Correct answer: 2. Posterior cricoarytenoid

Explanation: Posterior cricoarytenoid is abductor of the vocal cord. In fact this is the only abductor muscle of the larynx. Lateral cricoarytenoid, thyroarytenoid, oblique arytenoid and transverse arytenoid are adductors of vocal cord.